A tracheostomised patient, with Portex tracheostomy tube, in the ward, developed sudden complete blockage of the tube. Which of the following is the best next step in the management -
1. Immediate removal of the tracheostomy tube
2. Suction of tube with sodium bicarbonate
3. Suction of tube with saline
4. Jet ventilation

Correct answer: 1. Immediate removal of the tracheostomy tube